Reid index in increased in ?
1. Chronic bronchitis
2. Emphysema
3. Bronchieactasis
4. ARDS

Correct answer: 1. Chronic bronchitis

Explanation: Ans. is 'a' i.e., Chronic bronchitis The Reid Index is a mathematical relationship that exists in a human bronchus section observed under the microscope. It is defined as ratio between the thickness of the submucosal mucus secreting glands and the thickness between the epithelium and cartilage that covers the bronchi. A normal Reid Index should be smaller than 0.4, the thickness of the wall is always more than double the thickness of the glands it contains. Chronic smoking causes submucosal gland hypertrophy and hyperplasia, leading to a Reid Index of > 0.5 indicating chronic bronchitis